Fixative used for bone histopathology is?-
1. 10% formalin
2. Normal saline
3. Rectified spirit
4. Nothing

Correct answer: 1. 10% formalin

Explanation: The most commonly used fixative in histology is formaldehyde. It is usually used as a 10% neutral buffered formalin (NBF)